Kaplan Meier method is used for -
1. Survival
2. Prevalence
3. Incidence
4. Frequency

Correct answer: 1. Survival